Classical markers for Hodgkin's disease is?
1. CD 15 and CD 30
2. CD 15 and CD 22
3. CD 15 and CD 20
4. CD 20 and CD 30

Correct answer: 1. CD 15 and CD 30

Explanation: Answer is A (CD15 and CD30) The tumor cells in Hodgkins Lymphoma are characteristically positive for CDI5 and CD30 and negative for CD45. Lymphocyte predominance Hodgkins Lymphoma is the only histological subtype that does not express CDI5 and CD30. This subtype expresses CD45 and is often considered as an entirely distinct category from classical Hodgkin's disease (Harrisons) Hodgkins Lymphoma lmmunopheno type Association with EBV Read Sternberg Cell variant() Nodular Sclerosis CD15 +, CD30 + EBV - VeQ Lacunar cellsQ (Occasional R-S-cells) Mixed cellularity CD15 +, CD30 + EBV + VeQ (70%) Classic Reed Sternberg cellsQ Lymphocyte depletion CD15 +, CD30 + EBV +Ve() Reticular variant() (Frequent R-S cells) Lymphocyte Predominance CD15 -ye, CD30-ve CD20 +ve, CD45+ve (H17th) EBV - Ve() Popcorn cell variant()